Anticholinesterases are effective against all, except :
1. Cobra bite.
2. Postoperative ileus.
3. Carbamate poisoning.
4. Belladona poisoning.

Correct answer: 3. Carbamate poisoning.